True about Pancoast tumour are all of the following except:
1. Only 3-5% are small cell carcinomas
2. Involves eighth cervical and first two thoracic nerves commonly
3. Homer's syndrome may be a manifestation
4. Lower lobe Carcinoma

Correct answer: 4. Lower lobe Carcinoma

Explanation: Ans. D: Lower lobe Carcinoma Non-small cell lung cancer that originates in the upper portion of the lung and extends to other nearby tissues such as the ribs and vertebrae is known as Pancoast tumour. Also called a pulmonary sulcus tumor: Definition - Apical Tumor of superior sulcus of lung Course -Superior sulcus marked by subclavian artery and grows into thoracic outlet Signs-Homer's Syndrome, supraclavicular fullness, venous distension and upper extremity edema. The mass in the superior sulcus is an extension of a lung tumor; most of it lies outside the lung and involves the chest wall, nerve roots, lower trunks of the brachial plexus, sympathetic chain, stellate ganglion, ribs, and bone. Most Pancoast tumors are squamous cell carcinomas or adenocarcinomas. Only 3-5% are small cell carcinomas. Involvement of the phrenic or recurrent laryngeal nerve or superior vena cava obstruction is not representative of the classic Pancoast tumor